Most common hallucination in schizophrenia is?
1. Tactile
2. Visual
3. Somatic
4. Auditory

Correct answer: 4. Auditory

Explanation: Ans. is 'd' i.e., Auditory * In schizophrenia auditory hallucinations are most common type of hallucinations. It can be :i) First person hallucination Audible self thoughtsii) Second person hallucination Voices address the person directly or commanding one's actioniii) Third person hallucination:- voices heard arguing, commenting or discussing the patient or giving a running commentary on his action or thought. Only the "third person hallucinations" are characteristic of schizophrenia.* Visual hallucinations can also occur;* Tactile, gustatory or olfactory hallucinations are rare.